An infection becomes apparent only after a certain incubation period. Shortest incubation period is seen in:
1. Hepatitis A
2. Hepatitis B
3. Rubella
4. Influenza

Correct answer: 4. Influenza

Explanation: Incubation period is defined as the time interval between invasion by an infectious agent and appearance of the first sign or symptom of the disease in question. Incubation period of, Influenza - 18 to 72 hours Hepatitis A - 15 to 45 days (usually 25 to 30 days) Hepatitis B - 45 to 180 days Rubella (German Measles) - 2 to 3 weeks; usually 18 days Ref: Park's Textbook of Preventive and Social medicine, 19th edition, Page 93, 134.